An adult old man gets burn injury to his hands. Overfew weeks, the burned skin heals without the need for skin grafting. The most critical factor responsible forthe rapid healing in this case is:
1. Remnant skin appendages
2. Underlying connective tissues
3. Minimal edema and erythema
4. Granulation tissue

Correct answer: 1. Remnant skin appendages

Explanation: . Remnant skin appendages